Nugent's scorefor bacterial vaginosis includes all except?
1. Lactobacillus
2. Gardnerellavaginalis
3. Mobiluncus
4. Gonococcus

Correct answer: 4. Gonococcus

Explanation: Ans. is 'd' i.e., GonococcusNugent's score for diagnosis of bacterial vaginosis (BV)The Nugent Score is a system employed for diagnosing BV using microscopic examination of a Gram-stained smear of vaginal discharge.It is used primarily in research studies rather than clinical practice.Scores are calculated by assessing predominance of three types of bacteria morphology and staining:Large gram-positive rods (Lactobacillus spp.) decrease in lactobacillus scored as 0 - 4,Small gram-variable rods (G vaginalis or Bacteroides spp.) scored as 0 - 4, andCurved gram-variable rods (Mobiluncusspp.) scored as 0 - 2.A score of 7 to 10 is consistent with bacterial vaginosis.A score of 0-10 is generated from combining three other scores. The scores are as follows:0-3 is considered negative for BV4-6 is considered intermediate7+ is considered indicative of BV.Lactobacillus morphotypes -- average per high powered(1000x oil immersion) field. View multiple fields.Gardnerella / Bacteroides morphotypes -- average per high powered(1000x oil immersion) field. View multiple fields.Curved Gram variable rods -- average per high powered (1000x oil immersion) field.View multiple fields (note that this factor is less important -- scores of only 0-2 are possible)Score 0 for >30Score 1 for 15-30Score 2 for >= 1-14Score 3 for < 1 (this is an average, so results can be >0, yet <1)Score 4 for 0Score 0 for 0Score 1 for0, yet <1)Score 2 for 1-4Score 3 for 5-30Score 4 for > 30Score 0 for 0Score 1 for < 5Score 2 for >= 5